A patient of biliary colic presented to hospital. Intern gave an injection and the pain worsened. Which is the most likely injection given?
1. Morphine
2. Diclofenac
3. Nefopam
4. Etoricoxib

Correct answer: 1. Morphine

Explanation: Morphinecan aggravate certain condition, e.g., biliary colic, pancreatitis diverticulitis. Inflamed appendix may rupture. Morphine can be given after the diagnosis is established. Diclofenac, Nefopam and Etoricoxib does not cause biliary colic.